Heparin acts activation of:
1. Antithrombin III
2. Factor VIII
3. Factor II and X
4. Factor V

Correct answer: 1. Antithrombin III

Explanation: Heparin activates plasma anti thrombin III. Anti thrombin binds to and inhibits the activated thrombin and coagulation factors ( Xa and IXa). From medical pharmacology padmaja 4th edition Page no 334